Subconjunctival cyst is seen in QUESTION REPEATED
1. Toxoplasmosis
2. Cysticercosis
3. Leishmaniasis
4. Chagas disease

Correct answer: 2. Cysticercosis

Explanation: Parasitic cysts such as subconjuctival cyst is seen in Cysticercosis . Hydatid cyst and filarial cust are not infrequent in development countries. Common cystic lesions of conjunctiva are : Congenital cystic lesions Lymphatic cysts of conjunctiva Retention cysts Epithelial implantation cyst (traumatic cyst) Aqueous cyst Pigmented epithelial cyst Parasitic cysts Ref;A.K.Khurana; 6th edition; Page no: 92